Epidermoid cyst can be differentiated from arachnoid cyst by -
1. MRI
2. USG
3. Myelography
4. CT scan

Correct answer: 1. MRI

Explanation: Ans. is 'a' i.e., MRI o Myelography cannot differentiate reliably between an epidermoid cyst and a noncommunicating arachnoid cyst,o It has largely been replaced by MRI.